Group A β-hemolytic streptococcal infection of the pharynx may be followed in some by:
1. Diphtheria
2. Typhoid fever
3. Rheumatic fever
4. Syphilis

Correct answer: 3. Rheumatic fever